A lady presented with carcinoma endometrium involving >50% of myometrium extending to vagina and positive peritoneal cytology but no involvement of para aortic and preaortic nodes. What is the stage of disease ?
1. Ill A
2. Ill B
3. Ill C1
4. Ill C2

Correct answer: 2. Ill B

Explanation: Endometrial cancer stage III: Stage IIIA: Involvement of uterine serosa and/ or adnexa Stage IIIB: Involvement of vagina and/or parametrium Stage IIIC: IIIC1: Positive Pelvic nodes IIIC2: Positive Paraaortic nodes with or without positive pelvic nodes Positive peritoneal cytology doesn't alter the stage Ref: FIGO SURGICAL STAGING 2014